The characteristic and common presentation of diabetic neuropathy is-
1. Amyotrophy
2. Mononeuropathy
3. Symmetrical sensory neuropathy
4. Autonomic neuropathy

Correct answer: 3. Symmetrical sensory neuropathy

Explanation: The most common form of diabetic neuropathy is distal symmetric polyneuropathy. It most frequently presents with distal sensory loss and pain. The most common clinical signs are diminished perception of vibration sensation distally, 'glove-and-stocking' impairment of all other modalities of sensation and loss of tendon reflexes in the lower limbs. In symptomatic patients, sensory abnormalities are predominant. Symptoms include paraesthesiae in the feet and rarely, in the hands, pain in the lower limbs (dull, aching and/or lancinating, worse at night, and mainly felt on the anterior aspect of the legs), burning sensations in the soles of the feet, cutaneous hyperaesthesia and an abnormal gait (commonly wide-based), often associated with a sense of numbness in the feet. Reference : page 2426 Harrison's Principles of Internal Medicine 19th edition and page 832 Davidson's Principles and practice of Medicine 22nd edition